Phocomelia is best described as -
1. Defect in development of long bones
2. Defect in development of flat bones
3. Defect of intramembranous ossification
4. Defect of cartilage replacement by bone

Correct answer: 1. Defect in development of long bones

Explanation: Phocomelia :- Entire central portion of limb is absent. For example, complete forearm (radius and ulna) is absent and the hand is attached to arm.